Fish is one of host for all of the following except
1. Paragonimus westermani
2. Clonorchis sinensis
3. Opisthorchis viverrini
4. Diphyllobothrium latum

Correct answer: 1. Paragonimus westermani